All are true about colon-rectal cancers except
1. Tumours of the left side of the colon usually present with a change in bowel habit
2. Tumours of the right side of the colon present with iron deficiency anaemia
3. Right present earlier then left sided cancers
4. Left sided cancers are more common than right

Correct answer: 3. Right present earlier then left sided cancers

Explanation: Tumours of the left side of the colon usually present with a change in bowel habit or rectal bleeding, while proximal lesions typically present later, with iron deficiency anaemia or a mass.Iron deficiency anaemia in any man or non-menstruating woman should lead to a search for a source of bleeding from the GI tract.Emergency presentation occurs in 20% of cases and is associated with a considerably worse prognosis,Left side cancers are more common, but in recent decades the incidence of right is increasing.Ref: Bailey and love, 27e, page: 1262